All of the following are useful intravenous therapy for hypertensive emergencies except?
1. Fenodopam
2. Uradipil
3. Enalaprilat
4. Nifedipine

Correct answer: 4. Nifedipine

Explanation: Answer is D (Nifedipine) Nifedipine is used as an oral/sublingual agent. It is not available for intravenous administration. Nifedipine in Hypertensive Urgencies Nifedipine is a short acting Dihydropyridene calcium channel blocker Nifedipine may be employed for rapid reduction of blood pressure in hypertensive urgencies but it is not recommended for such use because it has been reported to increase the incidence of acute coronary events. According to the US Food and Drug administration Nifedipine should be used with great caution 'if at all' Nifedipine is available for oral administration only and cannot be administered intravenously Urapidil (Cardiac drug therapy by Gabriel khan 7th/128,129) Urapidil is a selective alpha 1 adrenoceptor antagonist effective in the treatment of hypertensive emergencies. It may be administerd intravenously and is also available for oral administration Fenoldopam (Hurst 12th/1626) Fenoldopam is a selective dopamine -1 Receptor Agonist effective in the treatment of hypertensive emergencies It is available for intravenous administration. Enalaprilat Enalaprilat is an ACE inhibitor effective in the treatment of hypertensive emergencies (Enalaprilat is the active of Enalapril that is available for intravenous administration. Enalapril can only be administered orally).